In anemia the conc. Of 2,3 DPG is
1. Decreased
2. Increased
3. A or B
4. Not changed

Correct answer: 2. Increased